Which part of the spine is most commonly affected in Rheumatoid arthritis:
1. Cervical
2. Lumbar
3. Thoracic
4. Sacral

Correct answer: 1. Cervical

Explanation: Answer is A (Cervical): Rheumatoid arthritis commonly involves the joints of hands, wrist, elbow, knees, ankle, and feet in a symmetrical manner. Axial skeleton involvement is usually limited to Upper Cervical Spine.